a2 agonist cause all of the following except:
1. Analgesia
2. Hyperalgesia
3. Sedation
4. Anxiolysis

Correct answer: 2. Hyperalgesia

Explanation: Ans. b. Hyperalgesia Potential actions of alpha, agonists (DASHA) Drying of secretionsQ AnalgesiaQ SedationQ HypotensionQ AnxiolysisQ